True about Henoch Schonlein purpura is-
1. Medium vessels vasculitis
2. Renal symptoms start late in the disaese
3. IgA deposition in mesangium
4. Low Platelet count

Correct answer: 3. IgA deposition in mesangium

Explanation: Ans is 'c' i.e; IgA deposition in mesangium o There is deposion of IgA, sometimes with IgG and C3, in the mesangial region in HSP.o IgA is deposited in the glomerular mesangium in a distribution similar to that of IgA nephropathy. This has led to the concept that IgA nephropathy and Henoch-Schonlein purpura are spectra of the same disease.Henoch-Schonlein purpura (HSPfo Henoch - Schonlein purpura is vasculitis of small vessels (capillaries, venule or arterioles) and characterized by deposition of IgA in the wall of involved vessels.o H.S. purpura is characterized by tetrad of purpura, arthritis glomerulonephritis, and abdominal pain. All changes result from the deposition of circulating immune complexes, containing IgA and complement on the endothelium of the blood vessels throughout the body and within the glomerular Mesangial regionso Diagnosis is confirmed by presence of palpable purpura with normal platelet count along with one or more of the following : abdominal pain, arthralgia/arthritis and mesangial deposition of IgA.o Renal involvement in HSP is seen in 20-56% of children and 50-78% of adults. Renal manifestations usually start at the onset or within 3 months of other symptoms